Rule of 9 in burns is used to denote ?
1. Depth of bums
2. % of total body surfacearea
3. Severity of bums
4. Type of bums

Correct answer: 2. % of total body surfacearea

Explanation: Ans. is 'b' i.e., % of total body surface area